Most common cause of death in dialysis patient -
1. Cardiovascular
2. Infection
3. Malignancy
4. Anemia

Correct answer: 1. Cardiovascular